A 4 year child's radiograph shows small radialucency
in the bifurcation area of primary Lower second molar.
There is bleeding on opening the root canal. The most
likely treatment to be is
1. Pulpectomy and stainless steel
2. Pulpotomy
3. Extraction of the tooth
4. Observe no treatment necessary

Correct answer: 1. Pulpectomy and stainless steel